Cell wall synthesis is inhibited by all of the following, EXCEPT:
1. Amoxycillin
2. Penicillin G
3. Tetracycline
4. Cefotetan

Correct answer: 3. Tetracycline

Explanation: Tetracyclines act by inhibiting the protein synthesis and they do not inhibit the cell wall synthesis. Antibiotics that act by inhibiting cell wall synthesis are Penicillins Cephalosporins, Cycloserine, Vancomycin and Bacitracin. Ref: KDT, 6th Edition, Page 668; Essentials of Medical Pharmacology By K D Tripathi, 6th Edition, Page 738; An Evaluation of Current Cholera Treatment By Bhattacharya SK, National Institute of Cholera and Enteric Diseases (2003). 4 (2): 141